Umbrella configuration on fluorescein angiography is seen in
1. Retinitis pigmentosa
2. Rhegmatous retinal detachment
3. Central serous retinopathy
4. Eale's disease

Correct answer: 3. Central serous retinopathy

Explanation: Fundus fluorescein angiography helps in confirming the diagnosis. Two patterns are seen:_ Ink-blot pattern: It consists of a small hyperfluorescent spot which gradually increases in size._ Smoke-stack pattern: It consists of a small hyperfluorescent spot which ascends vertically like a smoke-stack and gradually spreads laterally to take a mushroom or umbrella configuration.Ref: Khurana; 4th edition; Pg.No. 272